Carcinoma of buccal mucosa commonly drain to the following lymph nodes sites:
1. Submental
2. Submandibular
3. Supraclavicular
4. Cervical

Correct answer: 2. Submandibular

Explanation: M/C lymph node involved in any oral malignancy is Submandibular LN Maximum LN metastases is seen in cancer tongue followed by floor of mouth. Lymphatic metastasis is least in lip cancer followed by hard palate. Lymphatic drainage of tongue, Floor of mouth and Buccal mucosa: Level I: Submandibular LN Level II: Upper deep cervical LN Level III: Middle deep cervical LN Level IV: Lower deep cervical LN Lymphatic drainage of oropharyngeal tumors: Level I: Jugulodigastric LN Level II: Upper deep cervical LN Level III: Jugulomohyoid or middle deep cervical LN Level IV: Lower deep cervical LN